Local anesthetics block which ion channel:
1. K+
2. Ca+
3. Na+
4. Cl

Correct answer: 3. Na+

Explanation: Ans (c) Na+Ref: KDT 6th ed. / 353